Drug used for type I and type II Diabetes mellitus is-
1. Glipizide
2. Tolbutamide
3. Metformin
4. Insulin

Correct answer: 4. Insulin

Explanation: Uses Of insulin in Diabetes Ref - researchgate.net